Sclera is thinnnest at?
1. Limbus
2. Insertion of rectus muscles
3. Equator
4. Posterior pole

Correct answer: 2. Insertion of rectus muscles

Explanation: ANSWER: (B) Insertion of rectus musclesREF: Color atlas of strabismus surgery: strategies and techniques by Kenneth W. Wright, Sonal Farzavandi, Lisa Thompson page 111, Pediatric Ophthalmology by P.K. Mukherjee page 721"Attachments of recti are on the thinnest part of the sclera""Unlike other ophthalmic surgery, scleral passes in strabismus surgery are usually performed behind a rectus muscle insertion in the thinnest part of the sclera (approximately 0.3 mm thick)"Note:Thinnest part of lens is posterior poleThinnest part of sclera is behind the insertion of rectus muscleThinnest part of retina is fovea centralis